Angle formed by joining a line extended from fracture line of fracture neck to an arbitrary line depicting horizontal plane
1. Shenton's line
2. Pauwel's angle
3. Perkins line
4. Nelton's line

Correct answer: 2. Pauwel's angle